'Silent epidemic' of the century is:
1. Coronary artery disease
2. Chronic liver disease
3. Chronic obstructive lung disease
4. Alzheimer's disease

Correct answer: 4. Alzheimer's disease

Explanation: Ans. (d) Alzheimer's disease* 'Silent epidemic' of last century: Alzheimer's diseaseALSO REMEMBER* Modem epidemic: Coronary heart disease* Most important discovery of 20th century: ORS